Which of these statements is false for lesions of Erythema nodosum –
1. They are considered as hypersensitivity reaction
2. The skin overlying the lesions is red, smooth and shiny
3. They are usually non tender
4. They can be associated with tuberculosis

Correct answer: 3. They are usually non tender

Explanation: Lesions of erythema nodosum are very tender, and overlying skin is red & shiny.
Erythema nodosum is presumed to be a hypersensitivity reaction, and may occur in association with several systemic diseases, infections (e.g. TB), drugs or it may be idiopathic